Conventional glazed dental porcelain is approximately ____times as abrasive as gold to tooth enamel
1. 10
2. 20
3. 30
4. 40

Correct answer: 4. 40

Explanation: Conventional glazed dental porcelain is approximately 40 times as abrasive as gold to tooth enamel